A man takes peanut and develops, tongue swelling, neck swelling, stridor, hoarseness of voice. What is the probable diagnosis.
1. Angioneurotic edema
2. FB bronchus
3. Parapharyngeal abscess
4. FB in larynx

Correct answer: 1. Angioneurotic edema

Explanation: A i.e. Angioneurotic edema